A 25 year old primigravida gave birth an infant who has clubfoot. During her pregnancy period she was diagnosed of having oligohydramnios. She didn't get a proper care for this problem. She was under certain medications during pregnancy. Which of the following must have caused oligohydramnios in this patient?
1. Insulin
2. Enalapril
3. Ciprofloxacin
4. None of the above

Correct answer: 2. Enalapril

Explanation: Exposure to angiotensin-converting enzyme inhibitors has been associated with oligohydramnios. Conditions Associated with Oligohydramnios: Fetal Chromosomal abnormalities Congenital anomalies Growth restriction Demise Postterm pregnancy Ruptured membranes Placenta Abruption Twin-twin transfusion Maternal Uteroplacental insufficiency Hypertension Preeclampsia Diabetes Drugs Prostaglandin synthase inhibitors Angiotensin-converting enzyme inhibitors Idiopathic Ref: Cunningham F.G., Leveno K.J., Bloom S.L., Hauth J.C., Rouse D.J., Spong C.Y. (2010). Chapter 21. Disorders of Amnionic Fluid Volume. In F.G. Cunningham, K.J. Leveno, S.L. Bloom, J.C. Hauth, D.J. Rouse, C.Y. Spong (Eds), Williams Obstetrics, 23e.